The most common metabolic abnormality predisposing patients to renal stone formation is
1. Hyperuricemia
2. Hypercalciuria
3. Distal renal tubular acidosis
4. Increased urine volume

Correct answer: 2. Hypercalciuria

Explanation: The most common metabolic abnormality predisposing patients to renal stone formation is hypercalciuria. Calcium oxalate and calcium phosphate stones are the two most common stones. Hypercalciuria combined with decreased fluid intake is frequently associated with stone formation; thus, adequate hydration is important in the treatment of stones.
Hyperuricemia can contribute to stone formation, but uric acid stones are not as common as calcium stones and most people with hyperuricemia do not have stones. Distal renal tubular acidosis can lead to calcium phosphate stones, but this disorder is not as common as stone formation in hypercalciuria. Increased urine volume and increased urine citrate concentration would both decrease the incidence of stones. In adequate concentrations, citrate binds to calcium and renders it unavailable for stone formation.